Fracture of shaft of humerus leads to:
1. Radial nerve injury
2. Ulnar nerve injury
3. Median nerve injury
4. Musculocutaneous nerve injury

Correct answer: 1. Radial nerve injury

Explanation: Ans. A Radial nerve injuryRef: BDC, 6th ed. vol. I pg. 98* Radial nerve gets injured in cases of humerus shaft fracture.* Ulnar nerve injury may take place when there is damage to medial epicondyle of humerus and in cases of tardive ulnar palsy.* Median nerve damage can be secondary to compression (for ex- carpal tunnel syndrome), which may lead to gun stock deformity, ape thumb deformity.Extra Mile* Median nerve aka labourer's nerve as it supplies most of the long muscles of the front of forearm.* Ulnar nerve aka musician's nerve as it controls the fine movements of hand.